Brain natriuretic peptide is degraded by
1. Neutral endopeptidase
2. Elastase
3. Collagenase
4. Ompatrilat

Correct answer: 1. Neutral endopeptidase

Explanation: Brain natriuretic peptide or B type natriuretic peptide: It is a hormone produced by the ventricles of the heart.
It has been shown to increase in response to ventricular volume expansion and pressure overload. B.N.P. is a marker of ventricular systolic and diastolic function.
Like Atrial natriuretic peptide, it is degraded by neutral endopeptidase. Atrial natriuretic peptide:
Atrial natriuretic factor (ANP) is a hormone released by atrial walls of the heart when they become stretched.
Because in heart failure,
there is an almost always excessive increase in both the right and left atrial pressures that stretch the atrial walls the circulating levels of ANP in the blood increase
fivefold to tenfold in severe heart failure. The ANF, in turn, has a direct effect on the kidneys to increase greatly their excretion of salt and water.
Therefore ANP plays a natural role to prevent the extreme congestive symptoms of cardiac failure.
But the other factors promoting cardiac decompensation quickly overrides this ANP effect.
More on the physiological properties of ANP: Circulating ANP has a short half-life.
Their steady level in blood is maintained by clearance receptors. It is metabolized by neutral endopeptidase (NEP) which is inhibited by Thiorphan.